Which of the following agents is not used in the treatment of Diabetic Macular Edema/Retinopathy –
1. Ruboxistaurim
2. Pyridazinones
3. Benfotiamine
4. Tamoxifen

Correct answer: 4. Tamoxifen

Explanation: Tamoxifen is known to cause retinopathy and macular edema as an adverse effect. It is not used in the treatment of diabetic macular edema or retinopathy.
Ruboxistaurin, pyridazinones and benfotiamine are all emerging drugs being investigated for treatment of diabetic retinopathy.